Antimicrobial resistance in frequent lens user is due to
1. Biofilm formation
2. Improper handling
3. Unhygienic formation
4. Low potency of antibiotics

Correct answer: 1. Biofilm formation

Explanation: The contaminated contact lens provides Pseudomonas aeruginosa an idea site for attachment and biofilm production Continuous contact of the eye to the biofilm-infested lens can lead to serious ocular diseases, such as keratitis (corneal ulcers) The biofilm also prevent effective penetration of the antibiotics, which increase the chances of antibiotic resistance. Reference : AK Khurana Comprehensive Ophthalmology, 6th edition, pg no. 50